The integration of the fluoride-releasing capability of glass ionomers with the durability of resin composites is seen in:
1. Cermet
2. Compomer
3. Hybrid ionomer
4. All of the above

Correct answer: 2. Compomer

Explanation: Compomer is a polyacid-modiﬁed composite made by incorporating glass particles of GIC in water-free polyacid liquid monomer with appropriate initiator. 
The rationale for using this material is the integration of the ﬂuoride-releasing capability of glass ionomers with the durability of resin composites. 
Compomers possess properties distinctly diﬀerent from those of resin composites and glass ionomers.

 
Ref: Phillip’s Science of Dental Materials ed 12 pg 328